Method of choice for sterilization of liquid paraffin:
1. Flaming
2. Moist heat
3. Autoclave
4. Hot air oven

Correct answer: 4. Hot air oven

Explanation: Ans. (d) Hot air ovenRef.: Microbiology by Anattthanarayan and Paniker 8th ed. / 31* Flaming: in this method the articles should be sterilized on the hot flame of Bunsen burner.* Hot air oven: It is also called dry heat sterilizer. The articles should be sterilized at the temperature 150degC-170degC for 1 hour.# Glass ware like test tube, pipette, flask and glass syringes, fixed oil glycerin, liquid paraffin, propylene glycol and zinc oxide etc. can be sterilized by this method.* Auto clave: this type of sterilization is done by steam heat under pressure.* Use: Glass ware, surgical dressing, rubber, gloves, surgical instrument are sterilized by this method(Autoclaved)